Omphalocele is caused by?
1. Duplications of intestinal loops
2. Abnormal rotation of the intestinal loop
3. Failure of gut to return to the body cavity from its physiological herniation
4. Reversed rotation of the intestinal loop

Correct answer: 3. Failure of gut to return to the body cavity from its physiological herniation

Explanation: ANSWER: (C) Failure of gut to return to the body cavity from its physiological herniationREF: Langman's Medical Embryology 9th edition 212, Bailey 8t Love 25th edition page 980Exomphalos (synonym: omphalocele) is herniation of abdominal viscera through an enlarged umbilical ring. The viscera, which may include liver, small and large intestines, stomach, spleen, or bladder, are covered by amnion. The origin of omphalocele is a failure of the bowel to return to the body cavity from its physiological herniation during the 6th to 10th weeks.